Characteristic feature of atopic drmatitis is
1. Pruritus
2. Dennie's Lines
3. Scalling skin (Lichenification)
4. Rash

Correct answer: 1. Pruritus

Explanation: A i.e. Pruritis